Total number of genes in Human genome is:-
1. 12000
2. 19000-20000
3. 24000-25000
4. 30000

Correct answer: 2. 19000-20000

Explanation: Total number of genes in Human genome is 19000-20000. Human genome project (HGPRT): HGPRT is an international scientific project The project began in 1990 initially by James D. Watson Ongoing sequencing led to the announcement of the determine more than 3 billion base pairs in the human genome, but also to identify all the genes in this vast amount of data This part of the project is still ongoing, although a preliminary count indicates about 19,000 - 20,000 genes in the human genome.